Which of the following statements about squaous cell carcinoma of cervix is false :
1. Common at squamocolumnar junction
2. CT scan is mandatory for staging
3. Post coital bleeding is a common symptom
4. HPV 16 and 18 are associated with high risk of carcinogenesis

Correct answer: 2. CT scan is mandatory for staging

Explanation: Ans. is b i.e. CT scan is mandatory for staging Les see each option separately ? Option 'a' is Squamous cell carcinoma is common at squamous columnar junction. Histologically Ca cervix is of 2 types. Squamous cell carcinoma (Epidermoid carcinoma) Accounts for 80% of carcinoma cervixdeg Arises from squamocolumnar junctiondeg Squamous cell carcinoma can be further classified as : Adenocarcinoma Accounts for 20% of carcinoma cervixdeg Arises from Endocervixdeg Recently increased in incidence because of use of OCR Progesterone pills for long time. MC subtype be of adenocarcinoma is mucinous endocervical adenocarcinoma. Verrucous Ca associated with HPV-6deg Slow growing. locally invasive neoplasm.deg Radical resection is the mainstay of therapy. It resembles condyloma Large cell Kerati- Large cell non nizing type Keratinizing type